All of the following organisms are known to survive intracellularly except -
1. Neisseria meningitidis
2. Salmonella typhi.
3. Streptococcus pyogenes
4. Legionella pneumophila

Correct answer: 3. Streptococcus pyogenes

Explanation: Facultative intracellular organisms 


Besides obligate intracellular organisms, some other organisms can live intracellularly → Facultative intracellular organisms.



These bacteria also have the capability of synthesis their own ATP, So they usually live extracellularly (in contrast obligate intracellular organisms).
These bacteria are phagocytosed by the host's macrophages and neutrophils yet survived within these WBCs by inhibiting phagosome-lysosome fusion, thus escaping host's toxic H2O2 and superoxide radicals.
Important examples :-


Listeria monocytogenes  - Yersinia                     - Brucella         - Mycobacterium
Neisseria                         - Salmonella typhi       - Legionella     - Francisella tularensis